Which drug would treat both dermatophysis and candidal infection '2
1. Ketoconazole
2. Griseofulin
3. Nystatin
4. Tolnafet

Correct answer: 1. Ketoconazole

Explanation: Ketoconazole Dermatophytoses Dermatophytes are a category of cutaneous fungal infections. The dermatophytic fungi live in the dead, horny layer of skin, hair and nails (cutaneous layers). These fungi secrete an enzyme called keratinase which digests keratin. Since keratin is the primary structural protein of skins, nail and hair the digestion of keratin manifests as scaling of the skin, loss of hair and crumbling of the pails. The common dermatophytes are Microsporum, Trichophyton, Epidermophyton. Candida is a fungal which causes both deep systemic infections and also cutaneous infections. Antifungal spectrum of the drugs given in the option:- Ketoconazole 6th/e p 762) "It is the first orally effective broad-spectrum antifungal drug useful in both dennatophytosis and deep mycosis" Griseofulvin (K.D.I 6th/e p 760) "Griseofulvin in active against most dermatophytes but not against candida and other .fungi causing deep mycoses" Nystatin (K.D.T. 6th/e p 760) "Nystatin is ineffective dermatophytosis. Because of higher systemic toxicity it is used only in superficial candidiases" Tolnofate 61h/e p 766) "It is a topical antifungal agent used only for dennatophytesis"